Acute malnutrition is manifested by -
1. Weight for age
2. Weight for height
3. Age for height
4. Brocas index

Correct answer: 2. Weight for height

Explanation: Acute malnutrition is manifested by reduced weight for height. Weight reflect only the present health status. REF. PARK'S TEXTBOOK OF PREVENTIVE AND SOCIAL MEDICAL 21ST EDITION. PAGE NO - 501